Which of the following supplies structures in head, neck, thorax and abdomen?
1. Internal carotid artery
2. 12th cranial nerve
3. Vagus nerve
4. Accessory cranial

Correct answer: 3. Vagus nerve